Structures lying posterior to spleen are all of the following except:
1. 11th rib
2. Left lung
3. The diaphragm
4. The stomach

Correct answer: 4. The stomach

Explanation: Relations of spleen:Anteriorly: The stomach, tail of the pancreas, and left colic flexure. The left kidney lies along its medial border. Posteriorly: The diaphragm; left pleura (left costodiaphragmatic recess); left lung; and 9th, 10th, and 11th rib.